Which of the following function as second messengers:
1. CAMP
2. DAG
3. IP3
4. All

Correct answer: 4. All

Explanation: All Correct